Drug used in acute iron poisoning is:
1. BAL
2. Desferrioxamine-B
3. Methylene blue
4. EDTA

Correct answer: 2. Desferrioxamine-B

Explanation: (Desferrioxamine-B): Ref: 11-30 - PPoisoningTreatments* Iron salt* Iodine* Lead* Hydrocyanic acid* Opium* Paracetamol* Copper sulphate- Gastric lavage, leave dilute NaHCO3 in stomach, Electrolyte correction, desferrioxane - B- Sodium thiosulfate orally, Demulcents- EDTA, Penicillamine- Dicobalt tetracemate, Methylene blue- Methadone- Cysteamine- Potassium ferrocyanide, BAL, Cuprimine Magnesium sulfate